Which is false regarding an Anganwadi worker ?
1. Part time worker
2. Undergoes 4 month training
3. 1 for 1000 children
4. Selected from the community itself

Correct answer: 3. 1 for 1000 children

Explanation: Ans. is `c' i.e., 1 for 100 children Anganwadi worker o Anganwadi workers are under ICDS scheme. o There is an anganwadi worker for a population of 1000 (not 1000 children). o She undergoes training in various aspects of health, nutrition and development for 4 months. o She is a part-time worker. o She is paid an honorarium of Rs. 1500 per month.